Mechanism of action of azoles is
1. By altering membrane permeability
2. By blocking nucleic acid synthesis
3. By disrupting microtubules function
4. By inhibiting cell wall synthesis

Correct answer: 1. By altering membrane permeability

Explanation: According to the mechanism of action these can be classified as 

Drugs altering membrane permeability 

- Azoles 
- Triazoles e.g. Fluconazole, itraconazole, voriconazole, terconazole, posaconazole.
- Imidazoles e.g. Ketoconazole, miconazole, clotrimazole, econazole, butoconazole, oxiconazole, sertaconazole, sulconazole. 
- Terbinafine, butenafine, naftifine.
- Polyenes e.g. Amphotericin B, nystatin, hamycin 

Drugs blocking nucleic acid synthesis e.g. Flucytosine 
Drugs disrupting microtubule function e.g. Griseofulvin 
Drugs inhibiting cell wall synthesis e.g. Caspofungin, nikkomycin.